Weber syndrome occur due to -
1. 3rd cranial nerve paralysis
2. 4th cranial nerve paralysis
3. 5th cranial nerve paralysis
4. 6th cranial nerve paralysis

Correct answer: 1. 3rd cranial nerve paralysis

Explanation: (A) (3rd Cranial nerve paralysis) (1161 - Davidson 21st), 238.3292-H 18th)* Weber's syndrome: Injury to the cerebral peduncle causes ipsilateral oculomotor palsy with contralateral hemiparesis.* Nothnagel's syndrome: Injury to the superior cerebellar peduncle causes ipsilateral oculomotor palsy and contralateral cerebellar ataxia.* Benedikt's syndrome: injury to the rednucleus results in ipsilateral oculomotor palsy and contralateral tremor, chorea and athetosis.Major focal brain-stem syndromesName of syndromeSite of LesionsClinical featuresWeberAnterior cerebral peduncle (mid-brain)Ipsilateral 3rd palsy contralateral upper motor neuron 7th palsy contralateral hemiplegiaClaudeCerebral peduncle involving red nucleusIpsilateral 3rd palsy contralateral cerebellar signsParinaudDorsal mild-brain (tectum)Vertical gaze palsy convergence disorders convergence retraction nystagmus pupilary and lid disordersMillard-GublerPonto-medullary junctionIpsilateral 6th palsy ipsilateral 5th lower motor neuron 7th palsy Contralateral hemiplegiaWallenbergLateral medullaIpsilateral 5th, 9th, 10th, 11th palsy ipsilateralHomer's syndrome ipsilateral cerebellar signs contralateral spinothatamic sensory loss vestibular disturbance